In case of Postmortem hanging, a ligature applied to the neck within how much time will produce a ligature mark
1. 5 minutes
2. 30 minutes
3. 1 hour
4. 2 hours

Correct answer: 4. 2 hours

Explanation: A ligature applied to the neck within 2 hours will produce a ligature mark. Features of Postmortem hanging : A person may be murdered, and the dead body suspended to simulate suicide. Findings suggestive of postmortem hanging : A ligature applied to the neck within two hours of death will produce a ligature mark. Signs of dragging to the place of suspension. When a dead body is suspended, the rope is usually tied first around the neck, and then around the beam, branch of a tree, etc. The beam shows evidence of the rope having moved from below upwards as the body has been pulled up. In true suicidal hanging, the rope moves from above downwards. Fibres from the rope may be found on the hands of the victim in suicidal hanging, but not in case of postmortem hanging.